Which of the following intravenous induction agent suppress steroidogenesis?
1. Thiopentone
2. Propofol
3. Ketamine
4. Etomidate

Correct answer: 4. Etomidate

Explanation: Etomidate causes adrenocortical suppression on long term use hence suppress steroidogenesis. All other drugs don't cause adrenocortical suppression. From padmaja 4th edition Page no 195